Causative factor for acne are following except –
1. Androgen
2. Only food
3. Bacterial contamination
4. Hypercomification of duct

Correct answer: 2. Only food

Explanation: Role of diet is controversial; while patients often feel that certain diet exacerbate their acne, scientific proof for this for lacking.